Effect of atropine on eye is
1. Active mydriasis
2. Passive mydriasis
3. Miosis
4. Pin point pupil

Correct answer: 2. Passive mydriasis

Explanation: Parasympatholytics like atropine produce passive mydriasis due to blockade of m3 receptors. sympathomimetics produce active mydriasis due to contraction of dilator papillae Ref: Katzung 11th ed pg 117